Largest storage of blood is in?
1. Capillaries
2. Veins
3. Arteries
4. Venules

Correct answer: 2. Veins

Explanation: ANSWER: (B) VeinsREF: Ganongs 22nd edp.595Veins are also called capacitance vessels because they contain the maximum amount of blood in circulation